Interpeduncular fossa contains
1. Mammillary bodies, pineal gland, oculomotor nerve, infundibulum
2. Oculomotor nerve, mammillary bodies, infundibulum, posterior perforating substance
3. Tuber cinerium, mammillary bodies, oculomotor nerve, anterior perforating substance
4. Oculomotor nerve, mammillary bodies, optic chiasma, anterior perforating substance

Correct answer: 2. Oculomotor nerve, mammillary bodies, infundibulum, posterior perforating substance

Explanation: Contents of interpeduncular fossa are  

 Infundibulum
 Mammillary bodies
 Oculomotor nerve
 Posterior perforating substance.